What is the first line of drug for post-menopausal Osteoporosis?
1. Raloxifene
2. Oestrogen
3. Bisphosphonates
4. Combined OCP's

Correct answer: 3. Bisphosphonates

Explanation: Treatment of post-menopausal Osteoporosis : Bisphosphonates First-line therapy. They increase bone density and reduce the risk for spine, hip and non-veebral fractures. Synthetic analogues of pyrophosphate that bind to the hydroxyapatite in bone and inhibit osteoclastic bone resorption.